Enzyme deficiency in Cori disease is
1. Liver phosphorylase
2. Branching enzyme
3. Liver and muscle debranching enzyme
4. Muscle phosphorylase

Correct answer: 3. Liver and muscle debranching enzyme

Explanation: Type Name Enzyme Deficiency Clinical Features IIIa Limit dextrinosis, Forbe or Cori disease Liver and muscle debranching enzyme Fasting hypoglycemia Hepatomegaly in infancy Accumulation of characteristic branched polysaccharide (limit dextrin) Muscle weakness Reference: Harper; 30th edition; Table: 18-2; Page no: 179